Which of the following is not a goal of population based cancer registry?
1. Administrative information
2. Determination of cancer rates and trends
3. Patterns of care and outcomes
4. Cancer prevention

Correct answer: 1. Administrative information

Explanation: Ans. a. Administrative information